All of the following conditions present with secondary amenorrhoea EXCEPT:
1. Pregnancy
2. PCOD
3. Asherman's syndrome
4. Turner syndrome

Correct answer: 4. Turner syndrome

Explanation: Ans. D i.e. Turner syndrome